UDP glucose is not used in ?
1. Uronic acid pathway
2. Glycogen synthesis
3. Galactose metabolism
4. HMP shunt

Correct answer: 4. HMP shunt

Explanation: Ans. is 'd' i.e., HMP shuntUDP-glucose is derived from glucose-6-phosphate glucose-l-phosphate.The major fate of UDP-glucose is the synthesis of glycogen.Other uses of UDP-glucose are -i) In uronic acid (glucoronic acid) cycle to generate UDP glucuronate.ii) Galactose metabolismiii) Glycosylation of proteins, lipids and proteoglycans.